Following is an example of active diffusion:
1. GULT
2. Aquaporin
3. SGLT
4. All

Correct answer: 3. SGLT

Explanation: Active transport requires ATP mediated by certain protein chanals like SGLT : absorption of glucose in intestine and lung